Mees lines are seen in?
1. Arsenic poisoning
2. Lead poisoning
3. Iodine poisoning
4. Phosphorus

Correct answer: 1. Arsenic poisoning

Explanation: ANSWER: (A) Arsenic poisoningREF: Parikh 6th Ed Pg 9.11See APPENDIX-42 for "ANTIDOTES &TOXICOLOGY"Repeat Forensic medidne 2013 Sessionl, 2012 Session 1, December 2011, 2007